Which interleukin is associated with fever and inflammation?
1. Interleukin 1
2. Interleukin 12
3. Interleukin 5
4. Interleukin 2

Correct answer: 1. Interleukin 1

Explanation: IL-1 is the most important cytokine responsible for the systemic effects of inflammation.
IL-1, IL-6, TNF α and  type 1 interferons contribute to acute phase response.